A 45-year-old woman is admitted to the outpatient clinic for shoulder pain. During physical examination she presents with weakened shoulder movements. Radiographic examination reveals quadrangular space syndrome, causing weakened shoulder movements. Which of the following nerves is most likely affected?
1. Suprascapular
2. Subscapular
3. Axillary
4. Radial

Correct answer: 3. Axillary

Explanation: The weakness in shoulder movement results from denervation of the teres minor and deltoid by the axillary nerve, which passes through the quadrangular space. Quadrangular space syndrome happens when there is hypertrophy of the muscles that border the quadrangular space or fibrosis of portions of the muscles that are in contact with the nerve.